The following classification is used to estimate nerve injury:
1. Seddons classification
2. Lloyds classification
3. Both
4. None

Correct answer: 1. Seddons classification

Explanation: Seddons classification is used to estimate the nerve injury According to this classification nerve injury is divided into 3 grades Ref:Guyton and Hall textbook of medical physiology 12th edition,page number: 74,75,76